Soft contact lens is made up of -
1. PMMA
2. HEMA
3. Glass
4. Silicone

Correct answer: 2. HEMA

Explanation: Soft contact lenses are made up of HEMA (hydroxyethylmethacrylate) which is hydrophilic. Advantages Being soft and oxygen permeable, they are most comfortable and so well tolerated. Disadvantages Problems of proteinaceous deposits, getting cracked, limited life, inferior optical quality, more chances of corneal infections, and inability to correct astigmatism of more than one dioptre. Reference : A K KHURANA OPHTALMOLOGY,Edition 4,Page-564